Minimal pleural effusion is best viewed in which position
1. Lateral decubitus
2. Full inspiration erect
3. Supine
4. Full expiration erect

Correct answer: 1. Lateral decubitus

Explanation: Ans. Lateral decubitus